Enzymes required for mRNA synthesis is/are ?
1. RNA polymerase I
2. RNA polymerase II
3. Primase
4. Topoisomerase

Correct answer: 2. RNA polymerase II

Explanation: Ans. is 'b' i.e., RNA polymerase II It catalyzes the synthesis of mRNA, small nuclear RNA (sn-RNA) and miRNA.These products are coded by class II gene, i.e. class II gene is transcribed by mRNA.Class II gene differ from class I and III in that one of its transcribed products (mRNA) is translated into protein.